Somatic passivity is a feature of :
1. Paranoid schizophrenia
2. Hypochondriasis
3. Depression
4. Body dismorphic disorder

Correct answer: 1. Paranoid schizophrenia

Explanation: A i.e. Paranoid schizophrenia